Which of the following statements about Langerhans cells is true?
1. They are commonly found in the dermis.
2. They function as sensory mechanoreceptors.
3. They function as receptors for cold.
4. They play an immunological role in the skin.

Correct answer: 4. They play an immunological role in the skin.

Explanation: Langerhans cells in the epidermis function as antigen-presenting cells by trapping antigens that penetrate the Epidermis and transporting them to regional lymph nodes, where they are presented to T lymphocytes.